Takayasu's arteritis most commonly affects
1. Radial artery
2. Femoral artery
3. Iliac artery
4. Subclavian artery

Correct answer: 4. Subclavian artery

Explanation: Subclavian artery is most commonly involved in Takayasu's arteritis.